Bioterrorism is associated with all, except
1. Clostridia
2. Chicken pox
3. Plague
4. Ebola virus

Correct answer: 2. Chicken pox

Explanation: Ans. Chicken pox